The Behavioural Science used extensively in PSM is -
1. Anthropology
2. Economics
3. Politics
4. Law

Correct answer: 1. Anthropology

Explanation: the term behavioural science is applied to social anthropology, sociology , social psychology because they deal directly with human behaviour ref ;(page no;726) 25th edition of PARK's textbook of Preventive and Social medicine